False statement about post - traumatic stress disorder:
1. Symptoms develop immediately after the event
2. Intrusion symptoms occur like nightmares , flashbacks
3. Negative alterations in cognitions and mood
4. Symptoms create distress or functional impairment (e.g., social, occupational).

Correct answer: 1. Symptoms develop immediately after the event

Explanation: DSM-5 Criteria for PTSD Criterion A: stressor (one required) The person was exposed to: death, threatened death, actual or threatened serious injury, or actual or threatened sexual violence, in the following way(s): Direct exposure Witnessing the trauma Learning that a relative or close friend was exposed to a trauma Indirect exposure to aversive details of the trauma, usually in the course of professional duties (e.g., first responders, medics) Criterion B: intrusion symptoms (one required) The traumatic event is persistently re-experienced in the following way(s): Unwanted upsetting memories Nightmares Flashbacks Emotional distress after exposure to traumatic reminders Physical reactivity after exposure to traumatic reminders Criterion C: avoidance (one required) Avoidance of trauma-related stimuli after the trauma, in the following way(s): Trauma-related thoughts or feelings Trauma-related external reminders Criterion D: negative alterations in cognitions and mood (two required) Negative thoughts or feelings that began or worsened after the trauma, in the following way(s): Inability to recall key features of the trauma Overly negative thoughts and assumptions about oneself or the world Exaggerated blame of self or others for causing the trauma Negative affect Decreased interest in activities Feeling isolated Difficulty experiencing positive affect Criterion E: alterations in arousal and reactivity Trauma-related arousal and reactivity that began or worsened after the trauma, in the following way(s): Irritability or aggression Risky or destructive behavior Hypervigilance Heightened startle reaction Difficulty concentrating Difficulty sleeping Criterion F: duration (required) Symptoms last for more than 1 month. Criterion G: functional significance (required) Symptoms create distress or functional impairment (e.g., social, occupational). Criterion H: exclusion (required) Symptoms are not due to medication, substance use, or other illness. Acute: If duration of symptoms is less than 3 months. Chronic: If duration of symptoms is 3 months or more.